Burnout of casting to vaporize the moisture content in the investment is done at a temperature of :
1. 100o C
2. 538o C
3. 675-710o C
4. None of the above

Correct answer: 1. 100o C

Explanation: The burnout operation is done to dry the moisture out of the mould: The mould is heated at 212 F (100o C) for 1 hour to vaporize the moisture content in the investment. Expand the mould to compensate for solidification shrinkage of the metal: The mould is heated at 1000 F (538o C) for 1 hour to complete mould expansion Eliminate the pattern plastics and waxes by melting and vapourization: The mould is heated at 1250 to 1300 F (675o C to and 710o C) for 1 to 2 hours to eliminate and vapourize the traces of wax.